Commonest cause of stroke in our country -
1. Thrombosis
2. Embolism
3. Haemorrhage
4. Infraction

Correct answer: 1. Thrombosis

Explanation: Cerebral thrombosis is the commonest cause of stroke in India. Reference:Park's textbook of preventive and social medicine,K.Park,23rd edition,page no:377-78.